All except one are true regarding Idiopathic pulmonary Fibrosis
1. Smoking is pre - disposing factor.
2. Non - Granulomatous condition
3. Bronchoalveolar Lavage shows eosinophils
4. Subpleural Fibrosis

Correct answer: 3. Bronchoalveolar Lavage shows eosinophils

Explanation: Bronchoalveolar Lavage in Idiopathic pulmon fibrosis shows neutrophils.